Guyon's canal contains which of the following nerve?
1. Ulnar nerve
2. Radial nerve
3. Median nerve
4. Anterior interosseus nerve

Correct answer: 1. Ulnar nerve

Explanation: Ans is 'a' i.e., Ulnar nerve Nerves of the upper limb in various spacesGuyon CanalUlnar nerveCarpal TunnelMedian NerveSpiral GrooveRadial NerveQuadrangular SpaceAxillary nerveTriangular SpaceRadial nerveCubital TunnelUlnar nerve